All are true regarding CMV except -
1. Double stranded DNA virus
2. Rarely causes problems in immunocompetent person
3. Foscarnet can eliminate CMV
4. Tretinitis rare when CD4 count >200/mm3

Correct answer: 3. Foscarnet can eliminate CMV

Explanation: Acyclovir is useful in prophylaxis but not in treatment. Ganciclovir and foscarnet have been found to be effective and are used in patients with AIDS. REF:ANANTHANARAYAN AND PANIKER'S TEXTBOOK OF MICROBIOLOGY 9TH EDITION PAGE NO:474